WHICH OF THE FOLLOWING DRUGS ACTS BY INHIBITING TRANSCRIPTION OF DNS TO RNA?
1. RIFAMPICIN
2. NITROFURANTOIN
3. CIPROFLOXACIN
4. OLAXACIN

Correct answer: 1. RIFAMPICIN

Explanation: RIFAMPICIN INHIBITS DNA DEPENDENT RNA POLYMERASE REF : KD TRIPATHI 8TH ED